Treatment of post menopausal osteoporosis are all EXCEPT
1. Raloxifine
2. Calcium, Vit D supplementation
3. Estrogen
4. Magnesium and Zink

Correct answer: 4. Magnesium and Zink

Explanation: D. i.e. (Magnesium and Zink) (57- Shaw's 14th)OSTEOPOROSIS MANAGEMENT* Optimal benefit of HRT around the age of 60, Oestrogen progestogen, tibolone and raloxifene are beneficial in osteoporosis* Diet should indued at least 1.2g of calcium, vit A, C and vit E, Vit D 400 mg.* Oestrogen prevents osteoporosis by several mechanism. It inhibits osteoclastic activity, increase absorption of calcium from the gut, stimulates calcitonin secretion from the C cells of the thyroid and increases 1.25 dihydroxy vitamin D. all these lead to increased bone mineralization (53 - Dutta 4th)